An antidepressant found to be associated with tardive dyskinesia and neuroleptic malignant syndrome is -
1. Fluoxetine
2. Amineptin
3. Amoxapine
4. Trazodone

Correct answer: 3. Amoxapine

Explanation: Ans. is 'c' i.e., Amoxapine o Amoxapine is the only antidepressant which blocks D2 receptors along with inhibition of NA reuptake ----> has mixed antidepressant + neurolepic property. o Due to blockade of D, receptors it causes extrapyramidal side effects ---> Parkinsonism, Tardive dyskinesia, Akathesia, neuropeptic malignant syndrome